All are true statements regarding favus, EXCEPT:
1. It is a form of Tinea capitis
2. It is caused by Tinea schoenlein
3. It causes cicatricial alopecia
4. It is characterised by presence of dark brown to black nodules cemented to the hair shaft

Correct answer: 4. It is characterised by presence of dark brown to black nodules cemented to the hair shaft

Explanation: It is characterised by yellowish cup shaped crests called scutula. Dark brown/black nodules are seen as black piedra caused by piedraia hortae.Ref: Rook's Textbook of Dermatology, 8th Edition